All of the following drugs are Class I anti -arrhythmic drugs EXCEPT:
1. Quinidine
2. Procainamide
3. Flecainide
4. sotalol

Correct answer: 4. sotalol

Explanation: Quinidine and procainamide are class IA drugs, Flecainide is IB drug.propranolol is class II drug. beta blockers are class 2 agents except for sotatolol sotalol-class3 REF.Essentials of Pharmacology KD Tripathi 8th ed.